Shift of HCO3– out of RBC in exchange for Cl– is known as
1. Bohr effect
2. Hamberger shift
3. Haldane shift
4. Ondine's shift

Correct answer: 2. Hamberger shift

Explanation: CO2 diffuses through tissue to enter plasma
↓
Inside RBC, CO2 rects with H2O to form Carbonic acid (H2CO3)
↓
H2CO3 Splits to form H+ and HCO3– with the help of enzyme Carbonic anhydrase.